Eight site rabies vaccine schedule is?
1. 0,3,7,14,28
2. 8-0-0-4-1-1
3. 8-0-4-0-1-1
4. 0-3-7

Correct answer: 3. 8-0-4-0-1-1

Explanation: repeat